Alkalinization of urine is done in
1. Aspirin
2. Atropine
3. Amphetamine
4. Morphine

Correct answer: 1. Aspirin

Explanation: Alkalinization of urine is done to treat acidic drug poisoning 
Ex:- Aspirin, Barbiturates, Methotrexate, Penicillin.
Acidification of urine is done to treat basic drug poisoning 
Ex: - Amphetamine, Morphine, Atropine, Quinine.